Spleen projects into the following space ofperitoneal cavity?
1. >Paracolic gutter
2. >Infracolic compartment
3. >Left subbepatic space
4. >Greater Sac

Correct answer: 4. >Greater Sac

Explanation: Greater Sac Repeat .from Nov 08 "Being developed in the dorsal mesogastrium, the spleen projects into the greater sac surrounded by peritoneum of the original leaf leaf of the dorsal mesogastrium."- Last's Anatomy